Management of a case of iliac artery embolism requires
1. Embolectomy
2. Injection of vasodilators
3. Hypotensive therapy
4. Sympathectomy

Correct answer: 1. Embolectomy

Explanation: Ans. is 'a' i.e., Embolectomy